Which of the drug's main action is increasing uveo-scleral outflow
1. Apraclonidine
2. Latanoprost
3. Timolol
4. Brinzolamide

Correct answer: 2. Latanoprost

Explanation: Ref: HL Sharma 3rd ed pg no:140 DOC for chronic glaucoma is latanoprost- PGF2 alpha analog It acts by increasing uveoscleral outflow of aqueous humor